Absorbable suture material is
1. Polyglactine
2. Polypropylene
3. Polyethylene
4. Polybutester

Correct answer: 1. Polyglactine

Explanation: (A) Polyglactin) (38- Bailey & Love 26th)Absorbable suture material Absorption rateNon absorpable suture material* Catgut (plain)}Natural 7-10 days* Silk}Natural* Catgut (chromic)within 90 days* Linen* Polyglactin (Vicryl) 60-90 days* Polyglyconate (Maxon) 180 day* Polyglycolic acid 60-90 days* Polydiaxanone (PDS) 180 days* Polyglycaprone (Monocryl) 90-120 days* Surgical steel* Nylon (Ethilon/Nurolon)* Polyester (Mersilene/Ethibond)* Poly butester* Polypropylene (Proline)